Which of the following is an example of intellectual disability?
1. Dyslexia
2. ADHD
3. Autistic spectrum disorder
4. Mental retardation

Correct answer: 4. Mental retardation

Explanation: Ref. Oxford textbook of Psychiatry. Page. 488